All arteries involved in anastamosis around scapula except :
1. Circumflex scapular
2. Suprascapular
3. Infrascapular
4. Transverse cervical

Correct answer: 3. Infrascapular

Explanation: Anastomosis around body of scapula :
This is formed by

Suprascapular branch of subclavian artery.
Deep branch of transverse cervical artery which is a branch of thyrocervical trunk from subclavian artery and
Circumflex scapular branch of subscapular artery from 3rd part of axillary artery.

Anastomosis on the acromion process :
This is formed by

Acromial branch of thoracoacromial artery from 2nd part of axillary artery.
Ascending branch of posterior circumflex humeral artery from 3rd part of axillary artery and
Acromial branch of Suprascapular artery from subclavian artery.